Congenital cause of hypercoagulable states are all except-
1. Protein C deficiency
2. Protein S deficiency
3. MTHFR mutation
4. Lupus antigoagulant

Correct answer: 4. Lupus antigoagulant

Explanation: Protein C deficiency is an autosomal dominant disorder first described in 1981 by Griffin and co-workers . Protein C deficiency may remain asymptomatic or may present as venous thrombo-embolism . Treatment like in other such prothrombotic states requires the use of long term oral anticoagulants Protein S deficiency is a disorder of blood clotting. People with this condition have an increased risk of developing abnormal blood clots. Individuals with mild protein S deficiency are at risk of a type of clot called a deep vein thrombosis (DVT) that occurs in the deep veins of the arms or legs. Hypercoagulable state and methylenetetrahydrofolate reductase (MTHFR) C677T mutation in patients with beta-thalassemia major in Kuwait. INTRODUCTION: Patients with thalassemia major often present with a hypercoagulable state, the pathogenesis of which is still not understood. Ref Davidson 23rd edition pg 678